The left subclavian artery is a branch of :
1. Bracheocephalic trunk
2. Ascending aorta
3. Arch of aorta
4. Left common carotid

Correct answer: 3. Arch of aorta

Explanation: C i.e. Arch of aorta